A 25 year old university student had a fight with the neighboring boy. On the next day, while out, he started feeling that two men in police uniform were observing this movement. When he reached home in the evening he was frightened. He expressed that police was after him and would arrest him. His symptoms represent:
1. Delusion of persecution
2. Ideas of reference
3. Passivity
4. Thought insertion

Correct answer: 1. Delusion of persecution

Explanation: Delusion of Persecution :

The patient has delusions that he is being persecuted against, e.g. 'people are against me'.

Thought Insertion:

Subject experiences thoughts imposed by some external force on his passive mind.

Somatic Passivity :

Bodily sensations especially sensory systems, are experienced as imposed on the body by some external force e.g. Robot, X-ray waves